Class II Category in animal bites includes all of the following, EXCEPT:
1. Minor scratches without oozing of blood
2. Nibbling of uncovered skin
3. Multiple transdermal bites
4. Abrasions without bleeding

Correct answer: 3. Multiple transdermal bites

Explanation: Multiple transdermal bites, licks on broken skin are classified as Category III in animal bites. All other choices are Category I. Ref: Park, 20th Edition, Page 243